Most effective agent to prevent motion sickness is-
1. Ephedrine
2. Nedocromil
3. Cyproheptidine
4. Hyoscine

Correct answer: 4. Hyoscine

Explanation: Ans. is 'd' i.e., Hyoscine o Motion sickness is more easily prevented than cured.o Transdermal hyoscine (scopolamine) is the best agent for the prevention of motion sickness.o Antihistamines can also be used for prevention.